Bell's palsy is paralysis of:
1. UMN Vth nerve
2. UMN VIIth nerve
3. LMN Vth nerve
4. LMN VIIth nerve

Correct answer: 4. LMN VIIth nerve

Explanation: (d) LMN VIIth nerve(Ref. Cummings, 6th ed., 2619)In LMN VIIth nerve palsy (Most common being Bell's palsy) the complete half of the ipsilateral side of face gets involved.In UMN VIIth nerve palsy the lower half of the opposite side of face gets involved.